Which morphological type of cataract is most visually handicapping ?
1. Cortical
2. Nuclear
3. Posterior subcapsular
4. Zonular

Correct answer: 3. Posterior subcapsular

Explanation: Cupuliform (Posterior subcapsular) cataract lies right in the pathway of the axial rays and thus causes an early loss of visual acuity.